Which of the following is not a ceruloderma?
1. Cockade nevus
2. Nevus of Ota
3. Nevus of Ito
4. Mongolian spot

Correct answer: 1. Cockade nevus

Explanation: Ceruloderma refers to dermal melanocytic lesions with blue colour. These include mongolian spot, N. of Ota & Ito, blue nevus. NB: Mongolian spot- lumbosacral region is the common site. Nevus of Ota- 1st & 2nd division of trigeminal nerve Nevus of Ito- acromioclavicular region & deltoid. Cockade nevus is an acquired melanocytic nevus refering to multiple, target-like naevi showing concentric circles of increased melanin pigmentation. Ref: Rook's textbook of dermatology, Edition-8, Page-54.20.